Stone which is resistant to lithotripsy
1. Calcium oxalate
2. Triple phosphate stone
3. Cystine stone
4. Uric acid stone

Correct answer: 3. Cystine stone

Explanation: Repeat question In general CYTINE , calcium phosphate ( specifically brushite ) and Calcium oxalate monohydrate stones are most resistant to ESWL . The remainder of common stone type by order of increasing fragility are struvite , calcium oxalate dihydrate and finally uric acid stones ref :- Campbell - Walsh urology 11th edition .chapter 53 , pg no :- 1242 Bailey and Love 27th edition . chapter 76 , pg no 1408